NA hich of the 10110N% ing is not a cause of point mutation
1. Paracentric inversion
2. Deletion
3. Substitution
4. Insertion

Correct answer: 1. Paracentric inversion

Explanation: Ans. a. Paracentric inversion